A patient with bilirubin value of 8 mgldl and serum creatinine of 1.9 mg/dl is Planned for surgery.What is the muscle relaxant of choice in this patient-
1. vecuronium
2. Pancuronium
3. Atracurium
4. Rocuronium

Correct answer: 3. Atracurium

Explanation: Atracurium is the drug of choice in liver and renal dysfunction . It is eliminated by Hoffman's degradation and alkaline Ester hydrolysis.